Corneal curvature measured by ?
1. Keratometry
2. Pachymetry
3. Gonioscopy
4. Perimetry

Correct answer: 1. Keratometry

Explanation: Ans. is 'a' i.e., Keratometry The `Keratometry' or `ophthalmometry' is an objective mehod of estimating the corneal astigmatism by measuring the curvature of central cornea. Gonioscopy - Biomicroscopic examination of the angle of anterior chamber. Perimetry - Procedure of estimating the extent of visual fields. Tonography - Non - invasive technique for determining the facility of aqeous outflow (C - value).